Giant platelets are seen in ?
1. Bernard soulier syndrome
2. vWD
3. Polycythemia rubra vera
4. Leukemia

Correct answer: 1. Bernard soulier syndrome

Explanation: Ans. is 'a' i.e., Bernard soulier syndrome